Which of the following can cause both cicatricial as well as noncicatrical alopecia ?
1. Alopecia areata
2. Telogen effluvium
3. SLE
4. Hypothyroidism

Correct answer: 3. SLE

Explanation: Ans. is 'c' i.e., SLE